All of the following are approaches to health education except -
1. Service approach
2. Regulatory appraoch
3. Health education approach
4. Mass media

Correct answer: 4. Mass media

Explanation: The approach to health education includes; - regulatory approach - service approach - health education approach - primary health care approach Reference : Park's textbook of preventive and social medicine, 23rd edition, pg no:859